Radiological factors indicating an unstable pelvis are all except -
1. Posterior sacroiliac complex displacement by > lcm
2. Avulsion fracture of sacral or ischial end of the sacrospmous ligament
3. Avulsion fractures of the L5 transverse process
4. Isolated disruption of pubic symphysis with pubic diastasis of 2 cm.

Correct answer: 4. Isolated disruption of pubic symphysis with pubic diastasis of 2 cm.

Explanation: Ans. is 'd' i.e., Isolated disruption of pubic symphysis with pubic diastasis of 2 cmo Radiographic factors indicating unstable pelvis arePosterior sacroiliac complex displacement by > l cmAvulsion fracture of sacral or ischial end of the sacrospinous ligamentAvailsion fractures of the L5 transverse processDisruption of pubic symphysis with pubic diastasis of 2 cm with posterior pelvic injury or injury to anterior/ posterior sacroiliac ligament or sacrospinous ligaments.Presence of gap rather than impaction in the posterior pelvic ring.